Bellini duct cancer is seen in which of the following?
1. Liver
2. Kidney
3. Heart
4. Spleen

Correct answer: 2. Kidney

Explanation: Bellini duct cancer is an aggressive variant of Renal Cell Cancer (RCC) MC Benign tumor of kidney; ONCOCYTOMA MC Malignant tumor of kidney: Clear Cell Cancer MC Aggressive tumor of kidney: Bellini duct (Collecting Duct Cancer)